a benign epithelial cell neoplasm derived from non-glandular surfaces is referred to as:
1. papilloma
2. sarcoma
3. adenoma
4. hamartoma

Correct answer: 1. papilloma

Explanation: Papillomas are benign, outward-growing lumps that may cause problems in some locations. Papillomas do not spread. They are not aggressive or cancerous.
It is important to get any lump or skin lesion seen by a doctor, though. This is to be sure that it is benign and not something to worry about. If a lump turns out to be a more worrying problem, it is important to have had it diagnosed and treated.
Another reason for getting medical attention is that papillomas can cause problems and may need treating, even though they are not cancer.
While papillomas are not cancerous, some are linked with a higher risk of cancer. Women who have been treated for multiple breast papilloma, for example, may be monitored just in case cancer also occurs.